Which of the following is the most common side effect of Isotretinoin used for acne vulgaris?
1. Facial erythema
2. Xerosis
3. Hair loss
4. Cheilitis

Correct answer: 4. Cheilitis

Explanation: Cheilitis is the most common side effect of isotretinoin. Ref: Rook Textbook of Dermatology, 8th edition, Page 42.64